Most common complication of dermoid cyst is -
1. Cyst Rupture
2. Torsion
3. Malignant degeneration
4. None of the above

Correct answer: 2. Torsion

Explanation: Ans. is 'b' i.e., Torsion Complications of dermoid cyst:o Torsion is the most common complication occurring in Dermoid cyst. Because of the fat content of the cyst, it is lighter than other ovarian tumors and therefore easily torsioned. Almost 15% of dermoid cysts undergo torsion.o Malignant transformation develops only in 1 to 3% of cases, typically in women older than age 40. Squamous cell carcinoma is the most common type of cancer occurring in dermoid cysts.o Cyst rupture is rare. If cysts do rupture acute peritonitis is common, attributed to the sebum and hair contents of these cysts. Alternatively, chronic leakage of teratoma contents can lead to granulomatous peritonitis that may often initially be visually misinterpreted as widespread malignancy.